Most sensitive marker for iron deficiency is -
1. Hemoglobin
2. Ferritin
3. Transferring saturation
4. Serum iron

Correct answer: 2. Ferritin

Explanation: Ans. is 'b' i.e., Ferritin o Of all the serum tests for iron deficiency anemia, the serum ferritin determination is the most useful and a low serum ferritin invariably signifies iron deficiency.